Tobey Ayer's Test-
1. Acute mastoiditis with lateral sinus thrombosis
2. Maxillary cancer with spread to nasal cavity
3. Rhinosporidiosis
4. Jugular vein thrombosis

Correct answer: 1. Acute mastoiditis with lateral sinus thrombosis

Explanation: Ans. is A Signs of lateral sinus thrombosis (sigmoid sinus thrombosis) o Griesinger's sign:- edema over the posterior part of mastoid due to thrombosis of mastoid emissary veins o Papilloedema o Tobe-Ayer test-:- Compression of vein on the thrombosed side produces no effect while compression of vein on healthy side produces rapid rise in CSF pressure which will be equal to bilateral compression of jugular veins. o Crowe-Beck testPressure on jugular vein of healthy side produces engorgement of retinal veins. Pressure on affected side does not produce such change o Tenderness along jugular vein